Which technique of facial fracture treatment involves purely closed reduction?
1. Application of miniplates
2. Dynamic compression plating
3. Maxillo-mandibular fixation
4. Use of wire osteosynthesis across fracture site

Correct answer: 3. Maxillo-mandibular fixation